Which of the following drugs cannot be used in patient with Multi drug resistant Tuberculosis?
1. Ciprofloxacin
2. Tobramycin
3. Clarithromycin
4. Amikacin

Correct answer: 2. Tobramycin

Explanation: It is aminoglycoside group of drug used in various bacterial infection, paiculary gram negative. It extes its action by inhibiting on the bacterial 30S and 50S ribosome, preventing formation of the 70S complex. It is not used as antimycobacterial. Other aminoglycosides such as streptomycin and amikacin are used as antimycobacteriasl. Ref: Richard Finkel, Michelle Alexia Clark, Pamela C. Champe, Luigi X. Cubeddu (2009), Chapter 34, "Antimycrobials", In the book, "Pharmacology", 4th Edition, Lippincott Williams and Wilkins Publications, United States, Pages 399-406 ; KD Tripathy, 5th Edition, Pages 684, 699